C3b is converted to C3 convertase by
1. Factor D
2. Factor H
3. Factor I
4. All the above

Correct answer: 1. Factor D

Explanation: C3b is converted to C3 convertase by Factor B, Factor D, Properdin.